A 34-year-old man is referred for evaluation of hypertension and persistent hypokalemia in spite of taking oral potassium supplements. Blood pressure is 180/110 mm Hg. Serum sodium is 149 mEq/L (normal 140 to 148 mEq/L); potassium, 3.3 mEq/L (normal 3.6 to 5.2 mEq/L); Bicarbonate, 29 mEq/L (normal 22 to 29 mEq/L); Chloride, 103 mEq/L (normal 98 to 107 mEq/L); and Urea nitrogen, 23 mg/dL (normal 7 to 18 mg/ dL). Computed tomography demonstrates a 3-cm mass in the right adrenal gland. The most likely diagnosis is
1. Conn syndrome
2. Addison disease.
3. Cushing syndrome.
4. Sipple syndrome.

Correct answer: 1. Conn syndrome

Explanation: - Combination of hypertension, persistent hypokalemia & slightly elevated serum sodium- Hyperaldosteronism along with mass in adrenal gland suggests towards Conn syndrome (primary hyperaldosteronism). - Diagnosis can be confirmed by demonstration of: | Aldosterone, Lack of response of aldosterone to sodium loading | Serum renin levels.